Ocular basement membrane is stained by
1. Alcaine blue
2. Giemsa stain
3. Methylene blue
4. Periodic acid-Schiff

Correct answer: 4. Periodic acid-Schiff

Explanation: Not only ocular almost all basement membranes are stained with PAS (Periodic acid-Schiff) Because it has mucopolysaccharides Periodic acid-Schiff reactive (PAS) method is principally used to demonstrate structures rich in polysaccharides (glycogen), mucopolysaccharides (e.g., ground substance of connective tissues, basement membrane, and mucus), glycoproteins (thyroglobulin), and glycolipids.